Antrum of Highmore is
1. Maxillary
2. Ethmoid
3. Sphenoid
4. Frontal

Correct answer: 1. Maxillary

Explanation: Antrum of Highmore is maxillary sinus.
It is the largest of paranasal sinuses.